why do GLYCOPYROLATE is used as pre-anesthetic medication ?
1. no central effect as it do not cross BBB
2. as it have few side efects
3. as it increases pharyngeal secreation
4. no post surgical complications

Correct answer: 1. no central effect as it do not cross BBB

Explanation: * Actions of glycopyrrolate are similar to atropine except for some differences,as given below.. * CNS-minimal CNS effects. * CVS-increased heart rate is to a lesser extent and for shorter duration than atropine,hence ,lodynamic sLao.favay when used as premedication. * Similar actions on RS,GIT,GUT and other smooth muscles and glands as atropine. * 2 times more potent rntisialogoguE than atropine. ref : kd tripathi 8th ed